You’re assessing the stoma of a patient with a healthy, well-healed colostomy. You expect the stoma to appear:
1. Pale, pink and moist
2. Red and moist
3. Dark or purple colored
4. Dry and black

Correct answer: 2. Red and moist

Explanation: Good circulation causes tissues to be moist and red, so a healthy, well-healed stoma appears red and moist